A patient on ATT develops tinnitus and hearing loss due to:
1. Isoniazid
2. Pyrazinamide
3. Streptomycin
4. Rifampicin

Correct answer: 3. Streptomycin

Explanation: (c) Streptomycin(Ref. Cummings, 6th ed., 2371)Streptomycin is predominantly vestibulotoxic. In very high doses they can affect the cochlear system also, leading to hearing loss and tinnitus.